The ratio of upper anterior facial height and lower anterior facial height in normal occlusion cases is
1. 60 : 40
2. 45 : 55
3. 55 : 45
4. 40 : 60

Correct answer: 2. 45 : 55